Halo sign and handkerchief test are positive in
1. CSF Rhinorrhoea
2. Deviated nasal septum
3. Nasal Myiasis
4. Choanal atresia

Correct answer: 1. CSF Rhinorrhoea

Explanation: Ans. is 'a' i.e., CSF Rhinorrhoea Tissue test (Handker chief test) and holo sign are for CSF Rhinorrhoea. Detection of CSF LeakBiochemical testsConcentrations of Glucose are higher in CSF than in nasal discharge. Glucose value > 30-40 mg% and protein value < 100 mg % (max 200 mg %) support a diagnosis of CSF leak.Presence of p, transferrin is the most definitive test for detection of CSF and P2 transferrin assay is the test of choice when a confirmatory test is needed, because of high sensitivity as well as specificity.(3-trace protein (prostaglandin D synthase) is also used, however it is nonspecific as it is also present in human testes, heart and seroma.Basic clinical testsTissue test (Handker chief test) : - Unlike nasal mucous, CSF does not cause a tissue to stiffen.Filter paper test : - Sample of nasal discharge on a filter paper exhibits a light CSF border and a dark central area of blood, i.e., double ring sign or halo sign.Queckensted test : - Compression of the jugular vein leas to increased CSF leak due to increase in ICP.Rhinoscopy : - Visualization of CSF leak from paranasal sinus.CSF tracersIntrathecal fluorescein dye adminstration, radionuclide cisternography, CT cisternography.